Quadrivalent Meningococcal vaccine is not used for?
1. Serotype A
2. Serotype B
3. Serotype C
4. Serotype Y

Correct answer: 2. Serotype B

Explanation: Ans. (b) Serotype BRef: Harrison 19th ed. /1002* There are currently three vaccines available in the USA to prevent meningococcal disease, all quadrivalent in nature, targeting serogroups A, C, W-135, and Y.* Meningococcal polysaccharide or conjugate vaccines provide no protection against serogroup B disease and MenB vaccines provide no protection against serogroup A, C, W or Y disease. For protection against all 5 serogroups of meningococcus it is necessary to receive both vaccines.* Only recently vaccine targeting serogroup B has also been created and is protein based.TRADE NAMETYPE OF VACCINESEROGROUPS INCLUDEDYEAR LICENSEDAPPROVED AGESMenomunePolysaqccharideA, C, W, Y19812 year and olderMenactraConjugateA, C, W, Y20059 months-55 yearsMenveoConjugateA, C, W, Y20102 months-55 yearsMenHibrixConjugateC, Y, and Hib20126 weeks-18 monthsTrumenbaProteinB201410-25 yearsBexseroProteinB201510-25 years